Relapse after orthodontic tooth movement is due to
1. Supracrestal gingival fibers
2. Abnormal pressure habits
3. Improper angulation of the teeth
4. All of the above

Correct answer: 4. All of the above